Trials stage for experimentation of adverse drug reaction in large scale population is ?
1. I
2. II
3. III
4. IV

Correct answer: 4. IV

Explanation: Ans. is 'd' i.e., IV o Long-term adverse effects on large number of patients -f Phase IV clinical trial.